Broca's area is present in :
1. Superioemporal gyrus
2. Precentral gyrus
3. Post central gyrus
4. Inferior frontal gyrus

Correct answer: 4. Inferior frontal gyrus

Explanation: D i.e. Inferior frontal gyrus